All of the following statements are true about Rett's syndrome except:
1. Loss of acquired motor skills between 5 to 48 months
2. Language impairment is a symptom
3. Poorly coordinated gait is commonly seen
4. Is more common in males

Correct answer: 4. Is more common in males

Explanation: Rett's syndrome is more common in females. Rest of the statements are correct Rett's disorder (Rett's syndrome) Almost exclusively seen in Females Normal development till 5 months. Deceleration of head circumference (Microcephaly) * Loss of acquired hand skills and speech (Pincer grasp may be absent) *